What is the major difference between a class V cavity preparation for amalgam and one for composite resin by the acid-etch technique?
1. Depth
2. Convenience form
3. Position of retentive points
4. Angulation of enamel cavosurface margins

Correct answer: 4. Angulation of enamel cavosurface margins